All are ocular emergencies except -
1. Angle closure glaucoma
2. Central serous retinopathy
3. Retinal detachment
4. Central retinal arterial occlusion

Correct answer: 2. Central serous retinopathy

Explanation: Central serous retinopathy (CSR) is typically a self limiting disease and undergoes spontaneous resolution in 80 to 90% of cases.

Ocular emergencies 

Closed - angle glaucoma                                                   
Retinal detachment                          
Foreign body     
Orbital fractures          
Corneal abrasions, lacerations, ulcers   
Ruptured globe        
CRAO   
Chemical burns
Retrobulbar hematoma